First sign of puberty in females is?
1. Pubarche
2. Thelarche
3. Menarche
4. Increase in height

Correct answer: 2. Thelarche

Explanation: Thelarche REF: Nelson Textbook of Paediatrics 17th edition page 1882, http://en.wikipedia.org/wiki/ Puberty In girls, the breast bud (Thelarche) is usually the first sign of puberty (10-11 yr), followed by the appearance of pubic hair 6-12 months later. The interval to menarche is usually 2-2.5 yr but may be as long as 6 yr. Peak height velocity occurs early (at breast stage typically between 11 and 12 yr of age) in girls and always precedes menarche. STAGES OF PUBERTY: Adrenarche --> Gonadarche --). Thelarche --). Pubarche --).- Menarche Spermarche Both males & females Both males & females Only females Both males & females Only females Only males 7 years 8 years 11 years 12 years 12.5 years 11 15 years